Uncommon finding in congestive cardiac failure in new born –
1. Tachycardia
2. Tachypnoea
3. Hepatomegaly
4. Pedal edema

Correct answer: 4. Pedal edema

Explanation: Edema of the feet occurs late.